Beta alanine is formed from
1. Adenosine and thymine
2. Cytosine and Uracil
3. Cytosine alone
4. Adenosine alone

Correct answer: 2. Cytosine and Uracil

Explanation: Beta alanine is formed from cytosine and Uracil.